All the following are false regarding sphenoid sinus EXCEPT -
1. It is formed since birth
2. Formed by the greater wing of sphenoid
3. Opens into middle meatus
4. Lined by Pseudostratified epithelium

Correct answer: 4. Lined by Pseudostratified epithelium

Explanation: Ans-DUsually, sphenoid sinus occupies the body of, sphenoid. The degree of pneumatization of sphenoid sinus may vary and so do the extent of sinus and the structures related to it. Sinus cavity may be large and extend into the wings of sphenoid and even pterygoid plates.Regarding development of paranasal sinuses, only maxillary and ethmoidal sinuses are present at birth.Radiologically, maxillary sinus can be identified at 4-5 months, ethmoids at lyr, frontals at 6 years and sphenoids at 4 yrs.Histologically paranasal sinuses are lined by ciliated columnar epithelium with goblet cells which secrete mucus.Sphenoethmoidal recess lies above the superior turbinate and receives the opening of the sphenoid sinuscalled bulla ethmoidalis, which is due to middle ethmoidal air cell which opens on or above it. Below and in front of the bulla, there is a gap called hiatus semilunaris which leads to funnel-shaped space called ethmoidal infundibulum. Frontal, anterior ethmoidal and maxillary sinus opens into this infundibulum.